Most common recurrence sites or metastatic sites of malignancy following pelvic surgery are all except:
1. Carcinoma cervix - Lateral pelvic wall and central pelvis
2. Carcinoma ovary - Lung
3. Chorionepithelioma - Suburethral region in anterior vaginal wall
4. Carcinoma body - Vault of vagina

Correct answer: 2. Carcinoma ovary - Lung